Prelacteal feed given just after birth is:
1. Cow's milk
2. Honey
3. Water
4. None

Correct answer: 4. None

Explanation: Ans. D: None